Brittle bone disease is -
1. Osteogenesis imperfecta
2. Osteopetrosis
3. Pagets disease
4. Osteoporosis

Correct answer: 1. Osteogenesis imperfecta

Explanation: Osteogenesis imperfecta is also known as Fragilitas ossium or Vrolick's disease which is characterised by tendency for frequent fractures because of weak and brittle bones. It results from defective collagen synthesis and thus affects other collagen containing soft tissues like skin, sclera, teeth, ligaments etc. as well. Disease commonly inherited as autosomal dominant disorder but a severe variant known to occur where the inheritance is autosomal recessive. REF:Reference- Essential orthopaedics- Maheshwari-5th edn-pg no316